PIN index of nitrous oxide is?
1. 5-Jan
2. 5-Feb
3. 5-Mar
4. 6-Jan

Correct answer: 3. 5-Mar

Explanation: ANSWER: (C) 3-5REF: Morgan 4th ed p, 20PIN INDEX Air1-5NITROUS OXIDEOxygen2-5* Stored in blue cylinder* Pin index: 3-5* Liquid gas* 745 psi pressure* 1590 lit is the volumeNitrous oxide3-5Carbon di oxide1-6Helox2-4Entonox7